All of the following are true about lymphoma of the thyroid except
1. More common in females
2. Slow growing
3. Clinically confused with undifferentiated tumours
4. May present with respiratory distress and dysphagia

Correct answer: 2. Slow growing

Explanation: Primary thyroid lymphoma diagnosis is considered in patients with a goiter, especially one that has apparently grown significantly in a short period. Other initial symptoms include hoarseness, dysphagia, and fever. Rapid growth, nerve involvement may raise suspicion of anaplastic carcinoma Thyroid lymphoma occurs four times more frequently in women than in men Approximately half of primary thyroid lymphomas occur in the setting of pre existing Hashimoto thyroiditis. Source : Sabiston 20 th edition Pg : 911